A 30 real old patient comes with scrotal swelling. Transillumination is positive. A large hydrocoele is suspected. What’s the preferred treatment
1. Lord’s plication
2. Jaboulay's procedure
3. Excision of sac
4. Incision and drainage

Correct answer: 2. Jaboulay's procedure

Explanation: Large hydroceles treated by jaboulay’s procedure